The most common cause of Anovulation is:
1. Polycystic Ovarian Disease
2. Hyperprolactinemia
3. Premature ovarian failure
4. Low ovarian reserves

Correct answer: 1. Polycystic Ovarian Disease

Explanation: WHO Classification for Anovulation Hypothalamic pituitary failure: Hypogonadotropic Hypogonadism Hypothalamic pituitary dysfunction/PCOS: Normogonadotropic Hypogonadism Ovarian failure: Hypergonadotropic Hypogonadism Hyperprolactinemia Anovulation and ovulatory dysfunction can be caused by a number of factors. The most common cause of ovulatory dysfunction is PCOS. Other potential causes of irregular or absent ovulation: Obesity Underweight Extreme exercise Hyperprolactinemia Premature ovarian failure Perimenopause, or low ovarian reserves Thyroid dysfunction Extremely high levels of stress